The treatment of choice of sweet syndrome is:
1. Antibiotic
2. Antifungals
3. Corticosteroids
4. UV light

Correct answer: 3. Corticosteroids

Explanation: Ans. C. Corticosteroidsa. Sweet's syndrome is characterized by fever; raised painful red-brown plaques on the limbs, face, and neck; neutrophil leukocytosis and dense dermal infiltration with mature neutrophil polymorphs.b. The cause is not known but 10% of the cases have an associated malignancy, mostly acute non-lymphocytic leukemia. Sweet's syndrome also has been reported with lymphoma, chronic leukemia, myeloma, myelodysplastic syndromes and solid tumors of the genitourinary tract.c. Extra cutaneous sites of involvement are joints, muscles, eye, kidney and lung. The idiopathic form of Sweet's syndrome is generally seen in women, following a respiratory tract infection. Treatment with adrenal cortical hormone is very effective.